The most common presentation of neonatal meningitis is:
1. Bulging fontanelles
2. Nuchal rigidity
3. Poor feeding
4. Convulsion

Correct answer: 3. Poor feeding

Explanation: Ans. C i.e. Poor feeding Meningitis MC presentation of neonatal meningitis: Poor breast feeding MC cause (in neonates) of bacterial meningitis: Group B streptococci Causes of aseptic meningitis: - Mumps virus, - Polio virus etc. Low CSF protein is seen in: - Infants, - Pseudotumour cerebri etc.